Pain in post 1/3 tongue after tonsillectomy Is due to injury to -
1. VII nerve
2. IX nerve
3. V nerve
4. XII nerve

Correct answer: 2. IX nerve

Explanation: Taste sensation as well as general sensations from posterior 1/3 of tongue are carried by glossopharyngeal nerve.